Which structure corsses the esophagus at 25 cm from the incisor teeth-a) Arch of aortab) Bifurcation of tracheac) Lt. bronchusd) Left subclavian artery
1. a
2. bc
3. ac
4. b

Correct answer: 3. ac